Most common complication of measles is:
1. Orchitis
2. Pneumonia
3. Otitis media
4. Seizures

Correct answer: 3. Otitis media

Explanation: Acute otitis media is the most common complication of measles. Second commonest is bronchopneumonia. The usual bacterial pathogens are Pneumococcus, Staphylococcus aureus and sometimes gram-negative bacteria.